NOT true about right atrium:
1. Fossa ovalis represent remnant of foramen ovale
2. Anterior and posterior parts are divided by Crista terminalis
3. Anterior part is derived from absorption of right horn of sinus venosus
4. Posterior part is smooth

Correct answer: 3. Anterior part is derived from absorption of right horn of sinus venosus

Explanation: * Anterior (rough) part of right atrium is derived from primitive atrium. * Posterior smooth part (sinus venarum) is derived from absorption of right horn of sinus venosus. * Crista terminalis is the boundary line between the rough and smooth parts. On outer surface this demarcation is known as sulcus terminalis * Fossa ovalis represents remnant of foramen ovale * limbus fossa ovalis is remnant of septum secundum